In the treatment of Hepatitis - C interferon is combined with which drug?
1. Acyclovir
2. Ribavarin
3. Lamivudine
4. Indinavir

Correct answer: 2. Ribavarin